In which of the following ways does aldosterone react with renal tubular cells?
1. Increases transport of ENaCs from the cytoplasm to the cell membrane
2. Binds to steroid receptor inside the nucleus of renal tubular cells
3. Binds to ENaC's on the cell membrane and increase Na+ transport
4. Binds to G-protein coupled receptors on the cell surface

Correct answer: 1. Increases transport of ENaCs from the cytoplasm to the cell membrane

Explanation: Aldosterone increases transport of ENaCs (epithelial sodium channels) from the cytoplasm to the cell membrane. This is a rapid effect of aldosterone. Adosterone diffuses into the tubular epithelial cells. In the cytoplasm of these cells, aldosterone combines with a mineralocorticoid receptor (MR) protein. The aldosterone-receptor complex diffuses into the nucleus and induces transcription of DNA to form mRNA. The mRNA diffuses back into the cytoplasm and protein formation occurs in the ribosomes. This occurs slowly. The important products formed are: Na+K+ATPase, and membrane transport proteins like epithelial sodium channel proteins. Ref: Guyton And Hall 13th edition Pgno: 970,971